Which of the following statement is wrong?
1. Mutations within the exon can be detrimental and mutation in introns will not change the protein
2. Mutation of the TATA box markedly reduces the transcription
3. Change of purine by a pyrimidine is known as transition
4. Silent mutation does not lead to change in amino acid

Correct answer: 3. Change of purine by a pyrimidine is known as transition

Explanation: Single-base changes (point mutations) may be transitions transversions. Transition Transversions Given pyrimidine is changed to the other pyrimidine or Given purine is changed to the other purine Purine to either of the two pyrimidines or Pyrimidine into either of the two purines Introns Intervening sequences, present in between exons. Transcribed but not translated. Mutation in introns will not reach the protein. But mutation in exon will alter the protein. Silent mutation Non-sense mutation Mis-sense mutation Amino acid is not changed Amino acid codon is replaced by a stop codon. Amino acid is replaced by another amino acid.